Spinnbarkeit refers to?
1. Cervical mucus
2. Uterine gland thickness
3. Cervical os appearance
4. Proliferation of breast alveoli

Correct answer: 1. Cervical mucus

Explanation: Ans. (a) Cervical mucusRef.-.Ganong25th ed. / 402* The cervical mucus is thinnest at time of ovulation and its elasticity or spinnbarkeit increases such that by mid- cycle one drop can be stretched into a long, thin thread that may be 8-12cm or more in length.* It dries on a slide in an arborizing fern like pattern.* After ovulation it becomes thick and fails to form the fern pattern.